The clinical manifestations of Disseminated Intravascular Coagulation are all except:
1. Microthrombi
2. Sheehan  postpartum  pituitary  necrosis
3. Waterhouse-Friderichsen syndrome
4. Brain edema

Correct answer: 4. Brain edema

Explanation: In DIC, microthrombi are most often found in the arterioles and capillaries of the kidneys, adrenals, brain, and heart, but no organ is spared. The glomeruli contain small fibrin thrombi. These may be associated with only a subtle, reactive swelling of the endothelial cells or varying degrees of focal glomerulitis.
The microvascular occlusions give rise to small infarcts in the renal cortex. In severe cases, the ischemia can destroy the entire cortex and cause bilateral renal cortical necrosis. Involvement of the adrenal glands can produce the Waterhouse-Friderichsen syndrome.
Microinfarcts also are commonly encountered in the brain and are often surrounded by microscopic or gross foci of hemorrhage. These can give rise to bizarre neurologic signs. Similar changes are seen in the heart and often in the anterior pituitary.
DIC may contribute to the development of Sheehan postpartum pituitary necrosis.
Robbins BASIC  PATHOLOGY T E N T H   E D I T I O N page no.486